Sin of Gomorrah is also known as?
1. Anal coitus
2. Oral coitus
3. Lesbianism
4. Bestiality

Correct answer: 2. Oral coitus

Explanation: ANSWER: (B) Oral coitusREF: Textbook Of Forensic Medicine And Toxicology: Principles And Practice 4th edition by Krishan vij, Forensic Medicine and Toxicology by R.N.Karmakar Page 455BUCCAL COITUS (ORAL COITUS OR SIN OF GOMORRAH)This offence is mentioned in the Bible. It used to be practised in the town of Gomorrah and hence the name, Sin of Gomorrah, is attributed to this practice. Oral coitus may be practised by both sexes